Coracoid process of scapula is which type of epiphysis?
1. Pressure
2. Traction
3. Atavistic
4. Aberrant

Correct answer: 3. Atavistic

Explanation: ANSWER: (C) AtavisticREF: Human osteology by BDC 1st edition page 5-6See table of types of Epiphysis in Anatomy 2013 Session 1